Which of the following is the drug of first choice for Non-Gonococcal Urethritis -
1. Ceftriaxone
2. Ciprofloxacin
3. Doxycycline
4. Minocycline

Correct answer: 3. Doxycycline